Major source of collagen in cirrhosis?
1. Kupfer cells
2. Ito cell (Hepatic stellate cell)
3. Hepatocyte
4. Canalicular cell

Correct answer: 2. Ito cell (Hepatic stellate cell)

Explanation: Ans. is 'b' i.e., Ito cell (hepatic stellate cell)Perisinusoidal stellate cells (Ito cells) play a role in the storage and metabolism of vitamin A and are transformed into collagen producing myofibroblasts when there is inflamation of the liver.These cells are the major source of collegen in cirrhosis.